A 34 year old man with a long history of asthma is referred to pulmonologist. The physician decides to prescribe zileuton. The mechanism of action of this drug is to:
1. Antagonize Leukotriene D4 receptor
2. Inhibits 5 -lipoxygenase
3. Inhibit phosphodiesterases
4. Stimulate P2 receptors

Correct answer: 2. Inhibits 5 -lipoxygenase

Explanation: Ans. (b) Inhibits 5 -lipoxygenase* Leukotrienes are biochemical mediators that contribute to asthma symptoms# Contracting airway smooth muscle# Increasing vascular permeability and mucus secretion# Attracting and activating airway inflammatory cells* Zileuton is a 5-lipoxygenase inhibitor that decreases leukotriene production, and zafirlukast and montelukast are cysteinyl leukotriene receptor antagonists.* They are useful to prevent asthma attacks and cause modest improvements in lung function. They lessen the need for b2 - agonist rescue therapy.